A patient is having severe mycotic infection diabetes
mellitus and cellulitis is suffering with:
1. Mucormycosis
2. Histoplasmosis
3. Candidiasis
4. None of the above

Correct answer: 1. Mucormycosis